The main cytokine, involved in erythma nodosum leprosum (ENL) reaction is -
1. Interleukin - 2
2. Interferon - gamma
3. Tumor necrosis factor-alpha
4. Macrophage colony stimulating factor

Correct answer: 3. Tumor necrosis factor-alpha